NOT a true statement among the following is
1. Coronary Sinus is situated in posterior Coronary sulcus
2. Coronary Sinus is guarded by Thebesian valve
3. Middle cardiac Vein runs along with posterior Interventricular artery
4. All cardiac veins are derived from Coronary sinus

Correct answer: 4. All cardiac veins are derived from Coronary sinus

Explanation: All cardiac veins are derived from Coronary sinus with the  exception of Anterior cardiac veins which are derived from primitive atrium.